What is the drug of choice for Obsessive Compulsive Disorder ?
1. Imipramine
2. Fluoxetine
3. Benzodiazepines
4. Alprazolam

Correct answer: 2. Fluoxetine